Curschmann spirals are a characteristic finding in
1. Acute severe Asthma
2. Chronic Bronchitis
3. Emphysema
4. Bronchiectasis

Correct answer: 1. Acute severe Asthma

Explanation: In patients dying of acute severe asthma (status asthmaticus) the lungs are distended by overinflation and contain small areas of atelectasis. The most striking gross finding is occlusion of bronchi and bronchioles by thick, tenacious mucus plugs, which often contain shed epithelium. A characteristic finding in sputum or bronchoalveolar lavage specimens is Curschmann spirals, which may result from extrusion of mucus plugs fromsubepithelial mucous gland ducts or bronchioles. Also present are numerous eosinophils and Charcot-Leyden crystals; the latter are composed of an eosinophil protein called galectin-10.Ref: Robbins and Cotran Pathologic basis of DIsease; 9th edition; Chapter 15; The lung; Change 682